Inheritance of Gardner syndrome is -
1. Autosomal recessive
2. Autosomal dominant
3. X linked
4. None of the above

Correct answer: 2. Autosomal dominant

Explanation: Gardner syndrome has an autosomal dominant pattern of inheritance.